Parasite entering through skin penetration -
1. Tsolium
2. Ascaris
3. Entrobius
4. Nector americans

Correct answer: 4. Nector americans

Explanation: Ans. is 'd' i.e., Nector americanus Parasites enter through skin|||From soilFrom watero Ancylostoma duodenaleo Ancylostoma brazilienseo Ancylostoma caninumo Nector Americanso Strongyloides stercoraliso Strongyloides fullebomio Acanthamoebao Schistostoma